Which one of the following is not a feature of Turner's syndrome
1. Short stature
2. Intellectual disability
3. Coarctation of aorta
4. Lymphedema

Correct answer: 2. Intellectual disability

Explanation: Key clinical features of Turner syndrome are a lack of breast development or amenorrhea, with elevated follicle-stimulating hormone levels by 14 years of age; and infertility in women. Other characteristics of Turner syndrome include short stature, a webbed neck, a low posterior hairline, misshapen or rotated ears, a narrow palate with crowded teeth, a broad chest with widely spaced nipples, cubitus valgus, hyperconvex nails, multipigmented nevi, pubertal delay, and cardiac malformation. Figure 1. A 12-year-old girl with Turner syndrome. Note the subtle, distinctive facial features including prominent, posteriorly rotated auricles with looped helices and attenuated tragi; infraorbital skin creases; and mildly foreshortened mandible. One third of patients with Turner syndrome have a cardiac malformation; 75 percent of these patients have coarctation of aorta or a bicuspid aortic valve. Progressive aortic root dilatation or dissection can also occur, particularly in patients with a bicuspid valve, coarctation, or untreated hypertension.Patients with Turner syndrome often have an atherogenic cardiovascular risk factor profile. Other potential complications of Turner syndrome include strabismus, sensorineural hearing loss, recurrent otitis media, orthodontic anomalies, renal malformation (e.g., horseshoe kidney, duplicated or cleft renal pelvis), autoimmune thyroiditis, celiac disease, congenital hip dysplasia, and scoliosis. Girls with Turner syndrome typically have normal intelligence. Reference: GHAI Essential pediatrics, 8th edition